Which of the following statements are NOT true of right sided infective endocarditis-
1. Unlikely in the absence of murmur
2. It is commonly seen in drug addicts
3. Emboli to organs other than the lung is rare
4. Can occur following septic abortion

Correct answer: 1. Unlikely in the absence of murmur